The commonest cause of acute pancreatitis is
1. Biliary calculi
2. Alcohol abuse
3. Infective
4. Idiopathic

Correct answer: 1. Biliary calculi

Explanation: Major cause of acute pancreatitis is biliary calculi(50-70% of patients) A careful search of aetiology is must before labelling idiopathic and no more than 20% cases should fall into this category. Bailey & Love 26th edition,1127,1128.